Which of the following is not a feature of Elastosis perforans serpiginosa?
1. Hyperplastic epidermis with basophilic nuclear debris
2. More common in males
3. More common in Lower part of body
4. AD mode with variable expression

Correct answer: 3. More common in Lower part of body

Explanation: Ans. C. More common in Lower part of bodyElastosis perforans serpiginosa (Perforating elastosis)Features:a. Small grouped papules in serpiginous arrangement on neck, upper extremities, upper trunk, and faceb. Males in second decadec. Possible AD mode with variable expressiond. One third of cases associated with other connective tissue disorders such as Marfan's, acrogeria, scleroderma, Ehlers- Danlos syndrome, osteogenesis imperfecta, or Down's syndrome.PathologyHyperplastic epidermis associated with channel of basophilic nuclear debris and eosinophilic elastic fibers eliminated through epidermis